Most commonly involved joint in gout is -
1. Knee
2. Metatarsophalangeal joint of big toe
3. Wrist
4. Metacarpophalangeal joint of thumb

Correct answer: 2. Metatarsophalangeal joint of big toe

Explanation: Ans. is 'b' i.e., Metatarsophalangeal joint of big toe * Gout is the common end point of a group of disorders that produce hyperuricemia. It is marked by transient attacks of acute arthritis intitiated by crystallization of monosodium urate into the joints, leading eventually to chronic gouty arthritis and deposition of masses of urates in joints and other sites, creating tophi. Most common joint involved in gout is big toe, i.e. metatarsophalangeal joint of great toe.